In which of these patients can a medial episiotomy be considered superior to a medio lateral episiotomy during delivery of fetus?
1. Nulligravida with thick perineum
2. Second stage arrest
3. Second gravida with moderate anemia
4. Before application of forceps

Correct answer: 3. Second gravida with moderate anemia

Explanation: A midline episiotomy is associated with higher risk of third and fourth degree lacerations and following factors are associated with an increased risk.: Nulliparity Second-stage arrest of labor Persistent occiput-posterior position, Midorlowforceps Use of local anesthetics Asian race. A medio lateral episiotomy should beperformed in these mentioned situations A multiparous patient with anemia does not have increased risk for third or fourth degree laceration and since the patient is anemic, with a midline episiotomy, blood loss is less and healing is better, making it a better option.